According to Denis classification, the middle column includes all of the following, except:
1. Posterior longitudinal ligament
2. Posterior elements of the spine
3. Posterior part of the vertebral disc
4. Posterior part of the vertebral body

Correct answer: 2. Posterior elements of the spine

Explanation: Denis classificationof the structural elements of the spine: Anterior column Middle component Posterior complex Anterior part of of the vertebra and disc Anterior longitudinal ligament Posterior part of the vertebra and disc Posterior longitudinal ligament Posterior elements- pedicles, lamina, spinous processes, facet joints, and the remaining ligaments Association for the Study of Internal Fixation (ASIF) system reverts back to the original two-column theory: Anterior column consisting of vertebral body and disc Posterior column consisting of pedicles, laminae, facets and posterior ligamentous complex.